A patient is kept on ceftriaxone and amikacin, ESBL Klebsiella infection is detected . What will you do next?
1. Continue with same antibiotic but in higher dose
2. Change ceftriaxone and add ceftazidime
3. Start imipenem in place of ceftriaxone
4. Remove Amikacin

Correct answer: 3. Start imipenem in place of ceftriaxone

Explanation: 1. b-lactamase enzymes are capable of hydrolysing the b-lactam rings (the active site) of b-lactam antibiotics; thereby deactivating their antibacterial properties. ESBL is a Class A b-lactamase enzyme. 2. ESBL (Extended spectrum beta lactamases) are resistant to all Penicillin and 1st/2nd/3rd cephalosporin and monobactam. 3. But do not affect cephamycins (e.g., cefoxitin and cefotetan) or carbapenems (e.g., meropenem or imipenem).